A diabetic patient developed cellulitis due to Staphylococcus aureus, which was found to be Methicillin resistant on the antibiotic sensitivity testing. All the following antibiotics will be appropriate except:
1. Vancomycin
2. Imipenem
3. Teicoplanin
4. Linezolid

Correct answer: 2. Imipenem